Hypercalcemia in ECG is diagnosed by:
1. Increased QT interval
2. Decreased QT interval
3. Increased PR interval
4. Tall T waves

Correct answer: 2. Decreased QT interval

Explanation: Answer is B (Decreased QT interval) Hypercalcemia is characterized by a decreased QT interval.